The splint which is most commonly used in dentulous mandibular fracture is
1. Gunning splint
2. Cap splint
3. Ribbon splint
4. All of these

Correct answer: 2. Cap splint